Following urethral rupture, immediate procedure to be done is:
1. Urinary catheterization
2. Suprapubic cystostomy
3. Referral to a urologist
4. Observation

Correct answer: 2. Suprapubic cystostomy

Explanation: Ans. B: Suprapubic cystostomy Patient should be discouraged from passing urine if urethral rupture is suspected. Drainage of full bladders with partial tears can be managed with a suprapubic catheter. Suprapubic cystostomy has the benefit of avoiding urethral manipulation, which can produce further urethral trauma and allows for a simultaneous study to be carried out later. If the bladder is not easily palpable suprapubically, insert the catheter using transabdominal sonography If the patient has passed urine when first seen and there is no extravasation, the rupture, if any, is partial and a catheter is not needed.